Most common post splenectomy infection is -
1. Pneumococcus
2. Meningococcus
3. Staphylococcus
4. Corynebacterium

Correct answer: 1. Pneumococcus

Explanation: Ans. is 'a' i.e., Pneumococcus o The most serious consequence of splenectomy is increased susceptibility to bacterial infections, particularly those with capsules such asStr. pneumoniaeH. influenzaeGram negative enteric organismso Splenectomized patients are also more susceptible to parasitic disease babesiosis.o There is no increased risk of viral infection after splenectomy.